Bullets which break into multiple pieces when enter the body
1. Dum dum bullet
2. Hollow point bullet
3. Frangible bull
4. Incendiary bullets

Correct answer: 3. Frangible bull

Explanation: Frangible bullets are bullets which break into multiple pieces when enter the body. In the case of such bullets, after recovery, matching with a test bullet is difficult. Incendiary bullets are which have white phosphorus and cause fire and heat in the tissues. Ref: FORENSIC MEDICINE AND TOXICOLOGY Dr PC IGNATIUS THIRD EDITION PAGE 141